In marasmus wasting is due to ?
1. Prolonge dietery deficiency of calori
2. Prolonge dietery deficiency of protein
3. Excess catabolism of fat & muscle mass to provide energy
4. All of above

Correct answer: 4. All of above

Explanation: Ans. is 'd' i.e., All of above Marasmus Prolonge deficiency of calory & protein due to starvation. Monkey facies- loss of buccal fat. Baggy pants appearance- loose skin of the buttocks hanging down. Loss of axillary fat. Appetite is preserved. No edema.